Best indicator of antemortum drowning is :
1. Froth in mouth and nostrils
2. Cutis anserina
3. Washerman's hand
4. Water in nose

Correct answer: 1. Froth in mouth and nostrils

Explanation: A i.e. Fine froth in mouth & nostril